Which among the following is a major lipid of mitochondrial membrane?
1. Lecithin
2. Inositol
3. Plasmalogen
4. Cardiolipin

Correct answer: 4. Cardiolipin

Explanation: Phosphatidic acid is a precursor of phosphatidylglycerol, which in turn gives rise to cardiolipin. This phospholipid is found only in mitochondria and is essential for the mitochondrial function. Decreased cardiolipin levels or alterations in its structure or metabolism cause mitochondrial dysfunction in aging and in pathological conditions including heart failure, hypothyroidism, and Barth syndrome (cardiac skeletal myopathy). Ref: Botham K.M., Mayes P.A. (2011). Chapter 15. Lipids of Physiologic Significance. In D.A. Bender, K.M. Botham, P.A. Weil, P.J. Kennelly, R.K. Murray, V.W. Rodwell (Eds), Harper's Illustrated Biochemistry, 29e.